DNA synthesis takes place in which phase of cell cycle?
1. G1
2. S
3. G2
4. M

Correct answer: 2. S

Explanation: S-phase (synthesis phase) is the part of the cell cycle in which DNA is replicated, occurring between G1 phase and G2 phase. Precise and accurate DNA replication is necessary to prevent genetic abnormalities which often lead to cell death or disease. Due to the importance, the regulatory pathways that govern this event in eukaryotes are highly conserved. Ref-Sathyanarayana 4/e p388